A patient came to the casualty with acute bronchial asthma after treatment for glaucoma .the probable drug maybe
1. Timolol
2. Betaxolol
3. Latanoprost
4. Anticholinesterase

Correct answer: 1. Timolol

Explanation: Timolol is a non selective Beta blocker and can precipitate acute attacks of asthama in a suitable individual blockade of Beta 2 receptors. Betaxolol is a cardioselective Beta blocker and this less likely to cause this adverse effect Ref-KDT 6/e p139